Sialogram of a normal salivary gland appears as:
1. Leafy tree
2. Leafless tree
3. Sialolithiasis
4. Sialgectasia

Correct answer: 2. Leafless tree